Amacrine cells are seen in
1. Cornea
2. Retina
3. Lens
4. Iris

Correct answer: 2. Retina

Explanation: (B) Retina > 4 type of cells: bipolar cells, ganglion cells, horizontal cells & amacrine cells are present in retina.